Which is LEAST likely to characterize anxiety?
1. Syncope
2. Palpitations
3. GIT disturbances
4. Flight of ideas

Correct answer: 4. Flight of ideas

Explanation: Anxiety is characterized by restlessness, dizziness, palpitations, syncope, tingling in the extremities, tachy cardia, tremor, gastrointestinal disturbances, as well as urinary urgency and frequency. Flight of ideas (thoughts following each other in quick succession) is characteristic of mania.